The strip technique which is a variant of free gingival graft was developed by
1. Rateit-Schak et.al
2. Han et.al
3. Edel et.al
4. Bjorn et.al

Correct answer: 2. Han et.al